An infant should be exclusively breastfed till
1. 4 months
2. 6 months
3. 12 months
4. 24 months

Correct answer: 2. 6 months

Explanation: An infant should be exclusively breastfed till six months of age Cardinal principles of breastfeeding practice Initiation of breastfeeding within an hour after birth Exclusive breastfeeding up to 6 months of age Continuation of breastfeeding along with complementary feeding for up to 2 yr of age Reference: Paediatrics; O.P Ghai; 8th edition; Page no: 90